The condition where babinski sign is positive but deep tendon jerks are absent is-
1. Cerebral hemorrhage
2. Cerebral palsy
3. Cerebral tumour
4. Frederich's ataxia

Correct answer: 4. Frederich's ataxia